Which disease is associated with the Father of Public Health?
1. Malaria
2. Cholera
3. Tuberculosis
4. Plague

Correct answer: 2. Cholera

Explanation: Dr. John Snow was the first to associate Cholera to a sewage-affected drinking water pump in London Ref: 25th edition Park's Textbook of Preventive and Social Medicine, Page no. 25